Drug inhibiting cardiac remodelling in CHF -
1. ACE inhibitors
2. Digitalis
3. Diuretics
4. Vasodilatus

Correct answer: 1. ACE inhibitors

Explanation: Ans. is 'a' i.e., ACE inhibitors o Has been explained in previous sessions.